Erythropoietin is/are produced by -
1. Juxtaglomerular cells
2. Interstitial cells of the peritubular capillary bed of the kidneys
3. Pars recta of PCT
4. Macula densa

Correct answer: 2. Interstitial cells of the peritubular capillary bed of the kidneys

Explanation: Ans. B. Interstitial cells of the peritubular capillary bed of the kidneysErythropoietin is a glycoprotein hormone which stimulate erythrocyte production.In adults, about 85% of erythropoietin comes from the kidney (interstitial cells in peritubular capillary bed) and 15% from liver (Perivenous hepatocytes). Small amount is also produced in brain; and uterus and oviduct.